Midline cleft lip is due to failure of fusion of -
1. Two medial nasal processes
2. Medial and lateral nasal processes
3. Two lateral nasal processes
4. Any of the above

Correct answer: 1. Two medial nasal processes